Under RCH programme, intervention done in selected districts -
1. Immunization
2. Treatment of STD
3. ORS therapy
4. Vitamin A supplementation

Correct answer: 2. Treatment of STD

Explanation: Ans. is 'b' i.e., Treatment of STD o Interventions in all DistrictsChild survival interventions i.e., immunization, vitamin A (to prevent blindness), oral rehydration therapy and prevention of deaths due to pneumonia.Safe motherhood interventions e.g., antenatal check up, immunization for tetanus, safe delivery, anaemia control programme.Implementation of Target Free ApproachHigh quality training at all levelsIEC activities.Specially designed RCH package for urban slums and tribal areas.District sub-projects under local capacity enhancement.RTI/STD clinics at District Hospitals (where not available).Facility for safe abortions at PHCs by providing equipment, contractual doctors etc.Enhanced community participation through Panchayats, Women's Groups and NGOs.Adolescent health and reproductive hygiene.o Interventions in selected States/Distts.Screening and treatment of RTI/STD at sub-divisional level.Emergency obstetric care at selected FRUs by providing drugs.Essential obstetric care by providing drugs and PHN/Staff Nurse at PHCs.Additional ANM at sub-centres in the weak districts for ensuring MCH care.Improved delivery services and emergency care by providing equipment kits, IUD insertions and ANM kits at sub-centres.Facility of referral transport for pregnant women during emergency to the nearest referral centre through Panchavat in weak districts.Enhanced community participation through Panchayats, Womens Groups and NGOs.Adolescent health and reproductive hygiene.o Interventions in selected States/Distts.Screening and treatment of RTI/STD at sub-divisional level.Emergency obstetric care at selected FRUs by providing drugs.Essential obstetric care by providing drugs and PHN/Staff Nurse at PHCs.Additional ANM at sub-centres in the weak districts for ensuring MCH care. Improved delivery serv ices and emergency care by providing equipment kits, IUD insertions and ANM kits at sub-centres.Facility of referral transport for pregnant women during emergency to the nearest referral centre through Panchayat in weak districts.Enhanced community participation through Panchayats, Women's Groups and NGOs.Adolescent health and reproductive hygiene.o Interventions in selected States/Distts.Screening and treatment of RTI/STD at sub-divisional level.Emergency obstetric care at selected FRUs by providing drugs.Essential obstetric care by providing drugs and PHN/Staff Nurse at PHCs.Additional ANM at sub-centres in the weak districts for ensuring MCH care.Improved delivery' services and emergency care by providing equipment kits, IUD insertions and ANM kits at sub-centres.Facility of referral transport for pregnant women during emergency to the nearest referral centre through Panchayat in weak districts.